Intake of exogenous steroid causes -
1. Addison's disease
2. Cushing's syndrome
3. Pheochromocytoma
4. Conn's syndrome

Correct answer: 2. Cushing's syndrome